Most commonly used blinding technique in epidemiological studies
1. Single blinding
2. Triple blinding
3. Double blinding
4. None of the above

Correct answer: 3. Double blinding

Explanation: Blinding

The blinding is used to prevent outcomes from being influenced by the bias. Blinding is a basic tool to prevent concious as well as subconcious bias in the study.
To blind a person involved in the study (subject, investigator or observer) is to prevent them from knowing certain information about the study